All are true about Health propaganda except
1. Knowledge is instilled in minds
2. No promotion for thought process
3. Knowledge acquired by self reliant activity
4. Appeals to emotion

Correct answer: 3. Knowledge acquired by self reliant activity

Explanation: Health education
Health propaganda


Knowledge
Actively acquired
Forced into minds


Thought process
Is promoted
not promoted


Appeals to
Reason
Emotion


Process
Behavior centered
Information centered


Behaviour
Developed Refectively
Developed Reflectively